Which of the following pulmonary symptoms do not have the corresponding pulmonary association?
1. Cyanosis-Anxiety
2. Wheezing-CHF
3. Tachypnoea-Acidosis
4. Chest pain-pericarditis

Correct answer: 1. Cyanosis-Anxiety

Explanation: Ans- A Hyperventilation (Anxiety) can never cause hypoxemia(cyanosis). Cardiac asthma(wheeze) may be present in CHF Acidosis causes respiratory compensation in the form of tachypnea Pericarditis can present as chest pain